Hemoglobin H disease is caused by deletion
1. Single a globin chain
2. Two a globin chains
3. Three a globin chains
4. All a globin chain

Correct answer: 3. Three a globin chains

Explanation: Ans. (c) Three a globin chains(Ref: Robbins 9th/pg 638)Classification of a-thalassemia:Normally 4 a-genes synthesize: 2 a chains -> a, a / a, aMost common cause of a -thalassemia is a -gene deletion (frame-shift mutation)9